Clinically useful radiation from cobalt 60 is
1. Gamma radiation
2. Beta radiation
3. Alpha particles
4. Photons

Correct answer: 1. Gamma radiation

Explanation: Cobalt units produce stable, dichromatic gamma beams of 1.17 and 1.33 MeV, resulting in an average beam energy of 1.25 MeV. The cobalt-60 isotope has a half-life of 5.3 years Reference: Eric J Hall Textbook of Radiobiology for Radiologist; 5th edition